Polyvalent snake vaccines contains immunoglobins against all, except
1. Ophiophagus hannah
2. Naja naja
3. Daboia rusellii
4. Bungarus caeruleus

Correct answer: 1. Ophiophagus hannah

Explanation: Ans. Ophiophagus hannah